Anastomatic leak following repair of esophageal atresia is around:
1. <5%
2. 5-10%
3. 10-20%
4. 25-30%

Correct answer: 3. 10-20%

Explanation: Anastomotic leak occurs in 10-20% of patients. Most reports implicate anastomotic tension and esophagomyotomy as factors increasing the chance for leak. This condition can be diagnosed with saliva in the postoperative chest tube aspirate. Barium swallow diagnoses the location and the extent of the leak. Most small leaks close spontaneously with nonoperative management.